Mechanism of action of buspirone is?
1. 5 HT1A partial agonism.
2. 5 HT1B antagonism.
3. 5 HT1B partial agonism.
4. 5 HT2C antagonism.

Correct answer: 1. 5 HT1A partial agonism.

Explanation: Ans. A. HT1A partial agonism5 HT1A:Presynaptic autoreceptor.Modulates serotonin release.Partial 5 HT1A agonists:Buspirone, isapirone, gepirone.Useful as anti-anxiety drug.